If division of fertilized egg occurs at 4-8th day what kind of mono zygotic twin pregnancy will it give rise to :
1. Diamnionic dichroionic
2. Diamnionic monochorionic
3. Monoamnionic monochorionic
4. Conjoined twins

Correct answer: 2. Diamnionic monochorionic

Explanation: Diamnionic monochorionic